Late onset endophthalmitis after cataract surgery is most often caused by:
1. Staphylococcus Epidermidis
2. Pseudomonas
3. Streptococcus Pyogenes
4. Propionobacterium Acnes

Correct answer: 4. Propionobacterium Acnes

Explanation: Propionobacterium Acnes - most frequent isolate in chronic postoperative endophthalmitis followed by S.epidermidis, aerobic streptococci and Actinomyces species. Most frequent reported organism is Propionobacterium Acnes. Ref: Clinical Eye Atlas - Page 700; Complications in Phacoemulsification: Avoidance, Recognition, and Management - Page 304.